Flaring of Anterior ends of ribs are seen in?
1. Neurofibromatosis
2. Hyperparathyroidism
3. Rickets
4. Coarctation of Aorta

Correct answer: 3. Rickets

Explanation: Rachitic Rosary is Flaring Of anterior ends of ribs at the costochondral junctions seen in Rickets.